Which muscles is known as 'Triceps surae'
1. Gastro-soleus
2. Popliteus
3. EHL
4. EDL

Correct answer: 1. Gastro-soleus

Explanation: Ans. is 'a' i.e., Gastro-soleus Gastrocnemius and soleus together (gastro-soleus) are known as triceps surae.Soleus is known as peripheral heart helping in venous return from lower limb